Example of one way communication
1. Socratic method
2. Didactic method
3. Visual communication
4. Telecommunication

Correct answer: 2. Didactic method